The anteroposterior occlusal plane should be parallel to:
1. Ala tragus line
2. Camper's line
3. Bromel's line.
4. All of the above.

Correct answer: 4. All of the above.